Diagnostic test of choice for neurosyphilis is:-
1. VDRL
2. FTA-ABS
3. TPI
4. RPR

Correct answer: 1. VDRL

Explanation: VDRL CSF test is the standard serological test for CSF and it is considered diagnostic of neurosyphilis VDRL: Quantitation of the sera is useful to monitor activity of the disease and is of prognostic value. The RPR test is used for testing serum or plasma, but not for the CSF.